Goal of NPCB was to reduce prevalence of blindness to ?
1. < 0.3% by 2000
2. < 0.3% by 2005
3. < 0.5% by 2010
4. < 0.5% by 2015

Correct answer: 1. < 0.3% by 2000

Explanation: Ans. is 'a' i.e., < 0.3% by 2000 NATIONAL PROGRAMME FOR CONTROL OF BLINDNESS (NPCB) Launched in 1976 Its objective is to reduce the prevalence of eye diseases in general, and the prevalence of blindness from 1.40% to 0.3% by 2000 AD. Apex Centre (National Eye Institute) is Dr. Rajendra Prasad Centre for Ophthalmic Sciences (New Delhi, AIIMS). Moblie Ophthalmic Unit (MOU) It provides a comprehensive eye health care to the people in remote rural areas. Each unit organizes campus in a group of village in five adjoining districts to provide: Free ophthalmic service (Medical or Surgical) Vision testing service Prescription of spectacles Survey of eye diseases Education on prevention & rehabilitation. Methods of intervention in National Programme for Control of Blindness. PRIMARY EYE CARE : It is provided by ? Locally trained primary health care workers e.g. Village-health guides Multipurpose workers o Primary care involves treatment and prevention of following eye conditions? Acute conjunctivitis Ophthalmia neonatorum Trachoma